In a five year old child, which of the following foramen is located in posterior cranial fossa?
1. Jugular Foramen
2. Foramen Rotundum
3. Foramen Spinosum
4. Foramen Lacerum

Correct answer: 1. Jugular Foramen

Explanation: Except Option 1 - jugular foramen, all the other options/foramina are found in middle cranial fossa.
Jugular foramen is found in posterior cranial fossa. It lies at posterior end of petro-occipital fissure.